Flea bitten appearance of the kidney is seen in
1. Malignant hypertension
2. Benign hypertension
3. Chronic pyelonephritis
4. Diabetes mellitus

Correct answer: 1. Malignant hypertension

Explanation: Refer Robbins page no 9/e 939The kidney size varies depending on the duration and severity of the hypertensive disease. Small, pinpoint petechial hemor- rhages may appear on the cortical surface from rupture of arterioles or glomerular capillaries, giving the kidney a peculiar "flea-bitten" appearance. Two histologic alterations characterize blood vessels in malignant hypertension